If carbamazepine is added to valproate, which side effect of valproate can increase?
1. Thrombocytopenia
2. Hepatotoxicity
3. Hyperammonemia
4. Pancreatitis

Correct answer: 2. Hepatotoxicity

Explanation: Valproate is metabolized by cytochrome P450 and produce a metabolite which is hepatotoxic Carbamazepine is enzyme inducer which cause the induction of its metabolism and produce more metabolite, thus causing hepatotoxicity